a 45 year old man, known case of chronic renal failure develops rugger jersy spine. The probable Cause it-
1. aluminium intoxication
2. Secondary hyperparathyroidism
3. Osteoporosis
4. osteomalacia

Correct answer: 2. Secondary hyperparathyroidism

Explanation: Ans is option 2 Secondary hyperparathyroidism Rugger jersey spine results from Osteosclerosis which occurs in the setting of secondary hyperparathyroidism In CRF there is retention of phosphate Increase in phosphate inturn increases PTH leading to secondary hyperparathyroidism Ref Harrison 17/e p2388